Pain during inflammation is mediated by
1. Nitric oxide
2. Leukotriene B4
3. Bradykinin
4. Chemokines

Correct answer: 3. Bradykinin

Explanation: Ans. (c) Bradykinin(Ref: Robbins 9th/pg 65, 89)Functions of bradykinin:Increases vascular permeability, vasodilationSmooth muscle contraction and pain when injected into the skin.